The dose of antl D gamma globulin given after. &; delivery for a Rh-negative mother and Rh baby Is:
1. 50 microgram
2. 200 microgram
3. 300 microgram
4. 100 microgram

Correct answer: 3. 300 microgram

Explanation: Usually 300microgram IM is given after delivery to all non immunised Rh negative mothers.This will neutralise about 15 ml of Rh positive red cells or 30ml of fetal whole blood. TEXT BOOK OF OBSTETRICS,Sheila Balakrishnan,2nd edition,page no.310